All are true regarding satellite DNA except :
1. Repeated DNA sequence in tandem
2. Clustered around centromere
3. Clustered around telomeres
4. Transcriptionally active

Correct answer: 4. Transcriptionally active

Explanation: Satellite DNA Result of repeat length polymorphism i.e tandem repeats of a particular length of DNA occurs. These lengths are variable in different populations. Present around centromeric and telomeric regions DNA present around these regions is transcriptionally inactive. These repeats are of two types : STR VNTR Short tandem repeats also known as microsatellite Variable number of tandem repeats. Length is of 2-6 base pairs (short) Length is of 15-70 bp (variable number)